Local anaesthesia causing methemoglobinemia –
1. Procaine
2. Prilocaine
3. Etodicaine
4. Ropivacaine

Correct answer: 2. Prilocaine

Explanation: Prilocaine and benzocaine can cause methemoglobinemia.